Under RNTCP sputum sample slide with 3 AFB per oil immersion field will be reported as:
1. Scanty
2. + (1+)
3. ++ (2+)
4. +++ (3+)

Correct answer: 3. ++ (2+)

Explanation: Number of AFB Result reported No AFB per 100 oil immersion fields 0 1-9 AFB per 100 oil immersion fields Scanty 10-99 AFB per 100 oil immersion fields + (1+) 1-10 AFB per oil immersion fields ++ (2+) >10 AFB per oil immersion fields +++ (3+) Ref: Park's textbook of Preventive and Social Medicine, 21stedition, page-169.